Risk of preterm delivery is increased if cervical length is:
1. 2.5 cm
2. 3.0 cm
3. 3.5 cm
4. 4.0 cm

Correct answer: 1. 2.5 cm